Lamina densa of the gingival basement membrane is rich in
1. Type I and III collagen
2. Type III collagen
3. Type IV collagen
4. Type I collagen

Correct answer: 3. Type IV collagen